Following can be used as a yardstick for the assessment of standards of therapy ?
1. Specific death rate
2. Case fatality rate
3. Proportional mortality rate
4. Survival rate

Correct answer: 4. Survival rate

Explanation: Ans. is `d' i.e., Survival rate Survival rate o It is the proportion of survivors in a group (e.g. of patients) studied and followed over a period of time. o It is a method of describing prognosis in certain disease conditions. o Survival experience can be used as a yardstick for the assessment of standard of therapy. o Survival rates have received special attention in cancer studies.